An eleven-year-old rape victim is brought to casualty for medical examination. The medical officer is required to do the following things,except -
1. The consent is to be taken from the patient
2. The patient should be examined in presence of a female attendant
3. The patient should be given necessary emergency treatment
4. All the necessary forensic samples should be collected

Correct answer: 1. The consent is to be taken from the patient

Explanation: Consent for medical examination can be given by a person above 12 years of age. The victim in question is eleven years old. Thus the consent of parents (or guardian) is required in this case:
All other options are true and do not require specific explanation here.